Left sided cardiac bulge seen on chest X-ray is/are clit:
1. Enlargement of left atrial appendage
2. Azygous vein enlargement
3. Coronary artery aneurysm
4. Pulmonary edema

Correct answer: 1. Enlargement of left atrial appendage

Explanation: A i.e. Enlargement of left atrial appendage Left heart border on chest X-ray PA view is fonned by- Aortic Knuckle, Pulmonary Conus, Left atrial Appendage and Left Ventricle. So left sided cardiac bulge is seen in enlargement of left atrial appendageQ. Mn- "AK PC LAAV = cb Personal computer LoVe" forms left heart border.